Pink disease or acrodynia is seen with -
1. Arsenic
2. Mercury
3. Copper
4. Lead

Correct answer: 2. Mercury

Explanation: Ans. is 'b' i.e. Mercury Acrodvnia or pink disease:o It is thought to be an idiosyncratic hypersensitivity reaction particularly seen in children.o This can be caused by chronic mercury exposure in any form usually in children.o The onset is insidious with anorexia, insomnia, sweating, skin rash and photophobia.o Hands and feet become puffy1, pinkish, painful, paraesthetic with peeling of skin.o Teeth may be shed.